WHO recommended salt intake ?
1. < 5 gm/d
2. < 6 gm/d
3. < 7 gm/d
4. < 8 gm/d

Correct answer: 1. < 5 gm/d

Explanation: Ans. is 'a' i.e., < 5 gm/d